All of the following are adverse effects of thalidomide except:
1. Myocarditis
2. Constipation
3. Peripheral neuropathy
4. Sedation

Correct answer: 1. Myocarditis

Explanation: Thalidomide is an antiemetic drug with anti-inflammatory, cytokine modulatory property. It can be used in ENL as an alternative to prednisolone.it has teratogenic property hence banned It can be used in myocarditis. All others mentioned are the adverse effects. ESSENTIALS OF MEDICAL PHARMACOLOGY -SEVENTH EDITION-K.D TRIPATHI Page :786,877